Compared with the intracellular fluid, the extracellular fluid has __________ sodium ion concentration, __________ potassium ion concentration, __________ chloride ion concentration, and__________ phosphate ion concentration.
1. Lower, lower, lower, lower
2. Higher, lower, lower, higher
3. Lower, higher, higher, lower
4. Higher, lower, higher, lower

Correct answer: 4. Higher, lower, higher, lower

Explanation: The extracellular fluid contains large amounts of sodium, chloride and bicarbonate ions plus nutrients forthe cells, such as oxygen, glucose, fatty acids, and amino acids. It also contains carbon dioxide that is being transpoed from the cells to the lungs to be excreted, plus other cellular waste products that are being transpoed to the kidneys for excretion.] The intracellular fluid contains large amounts of potassium, magnesium, and phosphate ions Phosphateis the most abundant intracellular anion. Protein content in ICF is ~8 times greater than plasma (ECF).